Which of the following statements is true about endemic typhus:
1. vials caused by R. rickettsii
2. vials transmitted by bites of fleas
3. Has no Mammalian reservoir
4. Can be cultured in chemical defined culture medium

Correct answer: 2. vials transmitted by bites of fleas

Explanation: Option 1, 2, 3 Endemic typhus: Causative agent- R. typhi Vector - Flea, Rats are the reservoir Option 4 Rickettsiae cannot be cultivated in cell free media. Isolation can be done by cell lines (Vero, primary chick embryo, WI-38, HeLa), egg (yolk sac inoculation), or animal inoculation (guinea pig).